Consider the following statements about Jacuzzi syndrome and mark the true statement .
1. It is caused by Pneumococcus .
2. It is also known as hot tub folliculitis .
3. It is progressive illness .
4. It is always a painless condition .

Correct answer: 2. It is also known as hot tub folliculitis .

Explanation: Jacuzzi syndrome :- It is caused by Pseudomonas aeruginosa This condition arises due to inflammation of hair follicles (haiub folliculitis). It is usually self limiting condition . It can be extremely painful or itchy condition .